Palpation on the costovertebral angle produces pain and tenderness in acute adrenal insufficiency. This is
1. Osler's sign
2. Rotch's sign
3. Rogoff's sign
4. Rossolimo's sign

Correct answer: 3. Rogoff's sign

Explanation: Costovertebral angle pain and tenderness in acute adrenal insufficiency is known as Rogoff's sign